Injury to the superficial peroneal nerve will result in motor loss of which muscle?
1. Extensor digitorum brevis
2. Extensor hallucis longus
3. Extensor digitorum longus
4. Peroneus longus

Correct answer: 4. Peroneus longus

Explanation: The superficial peroneal nerve supplies the peroneus longus and brevis and sensation to the lateral aspect of the lower part of the leg and the dorsum of the foot. Foot drop does not occur but eversion of the foot is lost. The deep peroneal nerve supplies the tibialis anterior, extensor hallucis longus, extensor digitorum longus, the peroneus tertius, and sensation to the adjacent sides of the first and second toes. Ref: Morton D.A., Foreman K.B., Albertine K.H. (2011). Chapter 37. Leg. In D.A. Morton, K.B. Foreman, K.H. Albertine (Eds), The Big Picture: Gross Anatomy.